Which of the following is true about varicocele except ?
1. Incompetent valves of testicular vein are responsible for varicocele
2. 90% are on the left side
3. Asymptomatic cases require surgery
4. Femoral catheterization with spermatic vien ablation is done in recurrence

Correct answer: 3. Asymptomatic cases require surgery

Explanation: . In case of varicocele indications for surgery are pain and oligospermia and asymptomatic cases are not indicated for surgery. surgeries for variccele includes: -palomo's operation. -Inguinal approach . -subinguinal approach. -scroatal approach. -laproscopic approach. Refer page no 1077 of SRB's manual of surgery 5 th edition